FALSE regarding trigone of bladder
1. Lined by transitional epithelium
2. Mucosa smooth and firmly adherent
3. Internal urethral orifice lies at lateral angle of base
4. Developed from mesonephric duct

Correct answer: 3. Internal urethral orifice lies at lateral angle of base

Explanation: Internal urethral orifice lies at the apex (not the lateral angle of base) of urinary bladder. Note: It's the ureters that open at lateral angles. Embryologically, the trigone of the bladder is derived from the caudal end of mesonephric ducts, which is of mesodermal origin (the rest of the bladder is derived from the endodermal urogenital sinus). Urinary bladder is lined by transitional epithelium (including trigone).